The .provisions under Janani Shisna Suraksha Karvakram (.1SSK) include all of the following except:
1. Free food to the mother in the hospital
2. Cash incentive for institutional deliveries
3. Free transport to the mother and baby to/from hospital
4. Free treatment of the neonate and infant in all public health facilites

Correct answer: 2. Cash incentive for institutional deliveries

Explanation: Ans. b. Cash incentive for institutional deliveries Janani-Shishu Suraksha Karyakram (JSSK): The initiative entitles all pregnant women delivering in public health institutions to absolutely free and no expense to delivery, including cesarean section. The entitlements include free drugs and consumables, free diet up to 3 days during normal delivery and up to 7 days for cesarean section, free diagnostics, and free blood wherever required. This initiative also provides for free transport from home to institution, between facilities in case of referral and drop back home. Similar entitlements have been put in place for all sick newborns accessing public health institutions for treatment till 30 days after birth. This has been expanded to cover sick infants The scheme aims to eliminate out of pocket expenses incurred by the pregnant women and sick new borns while accessing services at Government health facilities